A 58 year old lady is diagnosed to have carcinoma stomach. CT scan of abdomen showed a mass measuring 4 cm mass in the antrum with involvement of serosa. What is the treatment?
1. Total gastrectomy
2. Subtotal gastrectomy
3. Palliative
4. Chemotherapy

Correct answer: 2. Subtotal gastrectomy

Explanation: For tumours distally placed in the stomach, it appears unnecessary to remove the whole stomach. Distal gastrectomy is choiceFor proximal tumours total gastrectomy is done.Palliative, chemotherapy are choice in non operable cancers.Non operabilityHaematogenous metastases,Involvement of the distant peritoneum, N4 nodal disease and disease beyond the N4 nodes, and Fixation to structures that cannot be removed.Bailey and Love 27e pg: 1132